All of the following are endogenous corticosteroids released by the adrenal cortex EXCEPT:
1. Cortisol
2. Cortisone
3. Dexamethasone
4. Aldosterone

Correct answer: 3. Dexamethasone